First rank symptoms of schizophrenia are all except -
1. Ambivalence
2. Running commentary
3. Primary delusion
4. Somatic passivity

Correct answer: 1. Ambivalence